Fat mesentery is sent for investigation in which poisoning -
1. Carbon monoxide
2. Organophosphorus
3. Arsenic
4. Lead

Correct answer: 2. Organophosphorus

Explanation: Fat mesentery is preserved in OP poisoning. Dr. Narayana Reddys Synopsis of Forensic Medicine & Toxicology 27 th edition pg. 61.